All of the following are Indications for CSF examination in adults with all stages of Syphilis Except
1. RPR titer >= 1:32
2. VDRL titer < 1:32
3. Active tertiary syphilis
4. Suspected treatment failure

Correct answer: 2. VDRL titer < 1:32

Explanation: Indications for Cerebrospinal Fluid Examination in Adults with All Stages of SyphilisAll PatientsAdditional Indications in HIV-Infected Persons1. Signs or symptoms of nervous system involvement (e.g., meningitis, hearing loss, cranial nerve dysfunction, altered mental status, ophthalmic disease , ataxia, loss of vibration sense), or2. RPR or VDRL titer >=1:32, or3. Active tertiary syphilis, or4. Suspected treatment failure11. CD4+ T cell count <=350/mL, or2. All HIV-infected persons (recommended by some experts)Reference: Harrison's Principles of Internal Medicine; 19th edition; Chapter 206; Syphilis